Most common site of BCC (Basal cell carcinoma) is
1. Face
2. Trunk
3. Neck
4. Extremities

Correct answer: 1. Face

Explanation: Ans. a (Face) (Ref. Bailey and Love, 25th /609)Basal cell carcinoma# Basal cell carcinoma is the most common eyelid tumor.# These are locally malignant lesions (rodent ulcer) with rare chances of distant metastasis and are most common malignant tumors of eyelid, more common in lower eye lid.# Most common site of BCC is face.# In fact the rodent ulcer may be seen more commonly in places of face over which tear rolls down so it's aptly called tear cancer.# Though no site is exempted, yet 90% of basal cell carcinomas are seen on face above the line drawn from the angle of the mouth to the louble of the ear.# It may also occur in the scalp, neck, arm & hands.# The common sites on face are- Around inner and outer canthus of the eye.- Nose and On & around nasolobial fold- On the forehead - more common in female# Treatment: Excision with care not to deform lid (.Mohys surgical excision).